The-most common differential diagnosis of hyper-thyrodism in a young female is -
1. Hysteria
2. Essential tremor
3. Anxiety neurosis
4. Parkinsonism

Correct answer: 3. Anxiety neurosis

Explanation: Anxiety) is a psychological and physiological state characterized by cognitive, somatic,emotional and behavioural components. Anxiety is often accompanied by physical sensations such as palpitations, nausea, chest pain, shortness of breath, diarrhaea, chills, dryness of mouth, abdominal pain and headache. Somatic signs of anxiety may include pale skin,sweating, trembling and pupillary dilatation. Generalized anxiety disorder is one of the most prevalent anxiety disorders in older persons.Ageing brings with it a higher prevalence of certain medical conditions as a result. In the older people differentiating a medical condition (dementia, depression, fears) from physical symptoms of an anxiety disorder is more complicated . Differential Diagnosis for anxietyneurosis 1. Post traumatic stress disorders 2. Phobias 3. Social anxiety disorders 4. Alcoholism 5. Thyrotoxicosis 6. Hypoglycemia Ref - pubmed.com